Excessive sexual desire in males is known as
1. Nymphomania
2. Satyriasis
3. Triabadism
4. Sadism

Correct answer: 2. Satyriasis

Explanation: Disorders of Appetitive Phase (Sexual Desire Disorders)1. Hypoactive sexual desire disorder:This disorder is characterised by an absence of fantasies and desire for sexual activity which is not secondary to other sexual dysfunctions, such as premature ejaculation or dyspareunia.This disorder is many times more common in females (previously called as frigidity) and its prevalence increases with age. 2. Sexual aversion disorder and lack of sexual enjoyment disorder:In the sexual aversion disorder, there is an aversion to and avoidance of all sexual activity with a sexual partner. 3. Excessive sexual drive:Rarely, both men (Satyriasis) and women (Nymphomania) may complain of the excessive sexual drive as a problem. Ref: A Short Textbook of Psychiatry, Niraj Ahuja, 7th Edition, pg. no. 126